Vaccination causing intussusception -
1. Rotavirus
2. Parvovirus
3. Poliovirus
4. BCG

Correct answer: 1. Rotavirus

Explanation: In 1999, a highly efficacious rotavirus vaccine, Rotashield licensed in the United States, was withdrawn from the market after less than one year because of its association with intussusception.